Delusion of grandeur, persecution and reference is seen in:
1. Catatonic schizophrenia
2. Paranoid schizophrenia
3. Simple schizophrenia
4. Disorganized schizophrenia

Correct answer: 2. Paranoid schizophrenia

Explanation: Ans. Paranoid schizophrenia